What should be the width or depth of beading of palatal major connector:
1. 0.5 mm
2. 1 mm
3. 1.5 mm
4. 2 mm

Correct answer: 1. 0.5 mm